All of the following conditions exhibit cherry red spot on retina, EXCEPT:
1. CRAO
2. Tay Sach's disease
3. Niemann pick's disease
4. Central retinal vein occlusion

Correct answer: 4. Central retinal vein occlusion

Explanation: Conditions diseases displaying a cherry-red macular spot: Central retinal artery occlusion Commotio retinae (Berlin's edema) GM1 gangliosidosis GM2 gangliosidosis (Tay-Sachs and Sandhoff type) Sialidosis Niemann-Pick disease types A to D (not E and F); ring may be diffuse and indistinct Farber lipogranulomatosis Metachromatic leukodystrophy Neuronal ceroid lipofuscinosis, late infantile form ("bull's-eye" maculopathy, not true cherry-red spot) Ref: Ropper A.H., Samuels M.A. (2009). Chapter 37. Inherited Metabolic Diseases of the Nervous System. In A.H. Ropper, M.A. Samuels (Eds), Adams and Victor's Principles of Neurology, 9e.